Absolute contraindication of OCP's is:
1. Breast cancer
2. Mentally ill
3. Migraine
4. Fibroid

Correct answer: 1. Breast cancer